Hepatitis D virus (delta agent) is a defective virus that can replicate only in cells already infected with which of the following viruses?
1. Hepatitis A virus
2. Epstein-Barr virus
3. Hepatitis G virus
4. Hepatitis B virus

Correct answer: 4. Hepatitis B virus

Explanation: Hepatitis D virus is a defective virus with an RNA genome and a hepatitis B surface antigen envelope. Two types of HDV infection occur: simultaneous HDV and HBV infection, or HDV superinfection with chronic HBV infection. Diagnosis is made by demonstrating IgM or IgG antibodies, or both.